Most fascia of the body that attach to bones attach by which of the following mechanisms?
1. Blending with the covering periosteum
2. Inserting deeply into the cancellous bone
3. Inserting deeply into the cartilage
4. Inserting deeply into the diaphysis

Correct answer: 1. Blending with the covering periosteum

Explanation: Fascial straps (retinacula) and fascial coverings of muscles or muscle groups characteristically attach to nearby bones by blending with the covering periosteum. No deep attachments are usually made by fascia. Cancellous bone is spongy bone, which is usually found in marrow, and is not the site for fascial attachment. Fascia do not usually attach to cartilage . Fascia attaches to bony shafts, or diaphyses , superficially the periosteum.